Which of these is false about celiac trunk -
1. It is the vertical branch of aorta
2. It has plexus around it
3. It has three terminal branches.
4. It lies to the right of the caudate process

Correct answer: 4. It lies to the right of the caudate process

Explanation: The caudate process is to the right of the celiac artery (trunk) i.e. celiac artery is to the left of the caudate process.